Cavity of mesencephalon
1. Lateral ventricle
2. Fourth ventricle
3. Cerebral acqueduct
4. Third ventricle

Correct answer: 3. Cerebral acqueduct

Explanation: The cavity of mesencephalon forms the cerebral aqueduct.The cavity of Rhombencephalon forms the fourth ventricle.The cavity of prosencephalon forms lateral and third ventricle.(Ref: Vishram Singh textbook of clinical neuroanatomy second edition pg 4)